The main cause of congenital hyperbilirubinemia is
1. Crigler-Najjar Syndrome
2. Rotor's Syndrome
3. Dubin-johnson Syndrome
4. Gilbert's Syndrome

Correct answer: 4. Gilbert's Syndrome

Explanation: Hereditary hyperbilirubinemiaIndirect hyperbilirubinemiaDirect hyperbilirubinemiaCrigler Najjar types 1 and 2 Gilbert syndrome Dubin Johnson syndrome Rotor's syndrome (Refer: Nelson's Textbook of Paediatrics, 19thedition, pg no:1389)